Apart from release of EDRF, other mechanism of vasodilatory action of acetylcholine is -
1. Direct action of cause vascular smooth muscle relaxation
2. Inhibition of nor-epinephrine release from adrenergic nerve endings
3. Stimulation of platelet aggregation
4. Stimulation of vascular 132 receptors

Correct answer: 2. Inhibition of nor-epinephrine release from adrenergic nerve endings

Explanation: Ans. is 'b' i.e., Inhibition of nor-epinephrine release from adrenergic nerve endings o Most of the blood vessels contain cholinergic M3 receptors on endothelium but no parasympathetic nerve supply. o Exogenously administered ACh can stimulate M3 receptors which results in release of EDRF (NO) from endothelium that causes vasodilatation. o Vasodilation also may occur indirectly due to inhibition of NA release from nerve endings by Ach.